Sensory nerve supply to angle of jaw is through
1. Great auricular nerve
2. Buccal branches of facial nerve
3. Lesser petrosal nerve
4. Auriculotemporal nerve

Correct answer: 1. Great auricular nerve

Explanation: The trigeminal nerve through its three branches is the chief sensory nerve of the face. The skin over the angle of the jaw and over the parotid gland is supplied by the great auricular nerve (C2,C3)